Adjuvant therapy after mastectomy is needed in all of the following except:
1. High risk, node positive
2. Low risk, no node
3. ER/PR -ve
4. Her-2-neu +ve

Correct answer: 2. Low risk, no node

Explanation: Criteria for adjuvant chemotherapy: (adverse prognostic factors) High histological grade Lymphovascular invasion Lymph nodes positive ER / PR negative Her - 2 - neu positive.